The main vector of Dengue fever is -
1. Aedes aegypti
2. Aedes albopictus
3. Aedes polynesiensis
4. Aedes scutellaris

Correct answer: 1. Aedes aegypti